After a 26-year-old man's car was roadsided by a large truck, he is brought to the emergency department with multiple fractures of the transverse processes of the cervical and upper thoracic vertebrae. Which of the following muscles might be affected?
1. Trapezius
2. Levator scapulae
3. Rhomboid major
4. Serratus Posterior Superior

Correct answer: 2. Levator scapulae

Explanation: The Levator Scapulae arise from the transverse processes of the Upper Cervical Vertebrae and inserts on the medial border of the Scapula. The other muscles are attached to the Spinous Processes of the Vertebrae.